The normal carinal angle at the tracheal bifurcation is around?
1. 40-50 degrees
2. 50-60 degrees
3. 60-75 degrees
4. 75-90 degrees

Correct answer: 3. 60-75 degrees

Explanation: Ans CCarinal angle is influenced by indentation from adjacent structures/lesions on the tracheal bifurcation. Normally it is 60 to 75 degrees. Any mass at carina like duplication cysts or left atrial enlargement results in widening of the angle.